In thyroidectomy, 4-5 grams on each side is left is known as:
1. Near total thyroidectomy
2. Hemithyroidectomy
3. Total thyroidectomy
4. Subtotal thyroidectomy

Correct answer: 4. Subtotal thyroidectomy